IL-1 is produced by -
1. Macrophage
2. Helper T lymphocytes
3. B cells
4. Cytotoxic T-cells

Correct answer: 1. Macrophage

Explanation: It is principally secreted by macrophages and monocytes but can be produced by most other nucleated cells as well REF:Ananthanarayan & Panikers Textbook of Microbiology 9th Edition pg:154